Most common cause of syncope in a child?
1. Breath holding spell
2. Tantrum spell
3. Hypoglycemia
4. Neurocardiogenic

Correct answer: 4. Neurocardiogenic

Explanation: Syncope is sudden transient loss of consciousness with inability to maintain postural tone - Syncope is caused by a lack of adequate cerebral blood flow - Most common cause of syncope in the normal pediatric population is neurocardiogenic syncope, which is also known as vasovagal syncope.